Natural light causes all except
1. Vitamin D synthesis
2. Destroys organ of corti
3. | Bilirubin level
4. Melanin synthesis

Correct answer: 2. Destroys organ of corti

Explanation: Organ of Corti - A specialized structure located on the inner surface of the basilar membrane of the cochlea containing hair cells thattransmit sound vibrations to the nerve fibers.Ref: Ganong's review of medical physiology; 24th edition; page no: 200